The most widely recommended tool for removing plaque from proximal tooth surfaces
1. Tooth brush
2. Mouth wash
3. Dental floss
4. Tooth paste

Correct answer: 3. Dental floss